Plasma volume is best evaluated by using
1. Evan blue
2. Inulin
3. Mannitol
4. Radiolabelled water

Correct answer: 1. Evan blue

Explanation: Plasma volume is measured using dyes like Evans blur that binds specifically to plasma proteins.(Ref: Textbook of physiology N Geetha 2nd edition page no.62)